Neuroblastoma-good prognostic factor is-
1. N-myc amplification
2. RAS oncogene
3. Hyperdiploidy
4. Translocation

Correct answer: 3. Hyperdiploidy

Explanation: Ans. is 'c' i.e., Hyperdiploidy